True about retinoblastoma are all except:
1. AD
2. Most common intraocular tumor of childhood
3. Females are more affected than males
4. Bilateral involvement not rare

Correct answer: 3. Females are more affected than males

Explanation: Retinoblastoma: AD Most common intraocular tumor of childhood Males & females are equally affected Bilateral involvement not rare